Stack formula is for age estimation from dental pattern in:
1. Infants
2. Adults
3. 25-50 years age group
4. Above 50

Correct answer: 1. Infants

Explanation: A i.e. Infants